Fibrous pericardium is attached to -
1. Central tendon
2. Right crus
3. Left crus
4. Pleura

Correct answer: 1. Central tendon

Explanation: Fibrous pericardium is the part which is attached to the central tendon of diaphragm.